Miyagawa body is characteristically seen in
1. Kala azar
2. Syphilis
3. Granuloma inguinale
4. LGV

Correct answer: 4. LGV

Explanation: (D) LGV # MIYAGAWA BODIES:> Chlamydia trachomatis (Miyagawa Nella lymphogranulomatosis), the elementary bodies that develop in the intracytoplasmic mi- crocolonies of Lymphogranuloma Venereum.> Lab diagnosis of LGV (Lymphogranuloma Venereum):> The primary lesion usually goes unnoticed and the disease is seen commonly first in the stage of inguinal adenitis (bubo).> Smears of material aspirated from the buboes may show the elementary bodies (Miyazawa's granular corpuscles).> The sensitivity of microscopic diagnosis is very low.> Isolation of the chlamydia by intracerebral inoculation into mice and into yolk sac of eggs has been replaced by cell cultures.> LGV patients develop high titres of circulating antibodies, with titres of 1:64 or more in CF test and 1:512 or more in micr - IF.> Serological diagnosis is therefore feasible. An intradermal test originally described by Frei in 1825 was commonly used formerly.